4 year old child with severe wasting and voracious apetite without pedal edema -
1. Kwashiorkar
2. Marasmus
3. Both
4. None

Correct answer: 2. Marasmus

Explanation: Ans. is 'b' i.e,, Marasmus o See explanation of previous question.